In MI following are used Except:
1. Fibrinolytics
2. Plasminogen activator inhibitor
3. Anti thrombin
4. Platelet inhibitor

Correct answer: 2. Plasminogen activator inhibitor

Explanation: Answer is B (Plasminogen activator inhibitor) Plaminogen Activators are used in Ml and not inhibitors of Plasminogen activators. The management of MI requires fibrinolysis, which is achieved by Plasminogen activators and not by Plasminogen inhibitor.